Which is anti inflammatory
1. Lipoxins
2. Thromboxane
3. Prostaglandins
4. Interleukins

Correct answer: 1. Lipoxins

Explanation: IL-10 and TGF-β have anti inflammatory action